Investigation of choice for assessing a child with vesicoureteric reflux is:
1. Antegrade IVP
2. Retrograde IVP
3. Micturating cystourethrogram
4. Cystoscopy

Correct answer: 3. Micturating cystourethrogram

Explanation: Ans. Micturating cystourethrogram